A 34 years old male who is truck driver and HIV positive, presented with small painless nodules with sexual history 15 days back. Later, the nodules burst, and created open, fleshy, oozing lesions becoming a beefy red ulcer in the genital region. What can be the diagnosis?
1. Klebsiella granulomatis
2. Chlamydia trachomatis
3. Neisseria gonorrhea
4. Hemophilus ducreyi

Correct answer: 1. Klebsiella granulomatis

Explanation: Granuloma inguinale/donovanosis- caused by Klebsiella granulomatis. Small, painless nodules appear after about 10-40 days of the contact with the bacteria. Later, the nodules burst, creating open, fleshy, oozing lesions. The lesions occur at the region of contact typically found on the shaft of the penis, the labia, or the perineum Diagnosis : painless, "beefy-red ulcer" with a characteristic rolled edge of granulation tissue. Wright Giemsa stain: Donovan bodies- rod-shaped, oval organisms that can be seen in the cytoplasm of mononuclear phagocytes or histiocytes in tissue samples.